True about internal thoracic artery is-
1. Arises from 1st part of subclavian artery
2. Pericardiophrenic is a terminal branch
3. Divides in the 4th intercostal space
4. Descends at posterior end of intercostal space

Correct answer: 1. Arises from 1st part of subclavian artery

Explanation: Ans. is 'a'i.e., Arises from 1st part of subclavion artery Internal thoracic arteryo It arises from 1st part of subclavian artery and descends through anterior ends of upper six intercostal spaces lying 1[?]25 cm lateral to sternal margin.o It divides into two terminal branches, musculophrenic and superior epigastric in 6th intercostal spaceo Branches of internal thoracic artery are:-i) Mediastinal branchesii) Pericardial branchesiii) Sternal branchesiv) Pericardiophrenic branchesv) Anterior intercostal arteries (in upper six spaces)vi) Perforating branchesvii) Two terminal branches, musculophrenic and superior epigastric.